The most commonly used Titanium alloy for dental and medical purposes is:
1. Ti 6Al 4V
2. Ti 5Al 4V
3. Ti 5Al 5V
4. Ti 6Al 6V

Correct answer: 1. Ti 6Al 4V

Explanation: The most commonly used Titanium alloy for dental and medical purposes is Ti 6Al 4V.
Modern implantology is only possible because of the biocompatibility of commercially pure (cp) titanium or a titanium/aluminium/vanadium (Ti-6Al-4V) alloy.